All of the following are true regarding point source epidemic except _____.
1. No secondary waves.
2. Clustering of cases within a short period of time.
3. Only due to an infectious agent.
4. All cases usually develop within one incubation period.

Correct answer: 3. Only due to an infectious agent.

Explanation: Point source epidemics:

Belong to common source type of epidemics.
Also called single exposure epidemics.
All cases develop within one incubation period.
In epidemic curve, there is sharp rise and fall as all cases are clustered within one incubation period and there are no secondary waves.  
Not only infectious agents but , environmental pollution and contamination of food can also cause point epidemics